The most common paraneoplastic syndrome associated with lung cancer?
1. SIADH
2. Cushings syndrome
3. Hypercalcemia
4. Polycythemia

Correct answer: 3. Hypercalcemia

Explanation: *Most common paraneoplastic syndrome: Hypercalcemia *Most common endocrinopathy in paraneoplastic syndrome: Cushing syndrome*Most common carcinoma associated with Cushing syndrome: Lung carcinoma*The cancer patients develop Cushing syndrome due to excess production of pro-opiomelanocortin and corticotrophin.*Most common paraneoplastic syndrome in squamous cell lung carcinoma: Hypercalcemia*Most common paraneoplastic syndrome in small cell lung carcinoma: SIADH*Since among all lung cancers, squamous cell carcinoma is common than small cell carcinoma, Most common paraneoplastic syndrome in lung cancer is HypercalcemiaRef: Robbins 8/e p321